Schizophrenia mostly occurs in:
1. Adolescents
2. children
3. Middle age
4. Old age

Correct answer: 1. Adolescents

Explanation: A. i.e. Adolescents